A 32 yr old male is known hypertensive and is being planned for cholecystectomy. Which of the following anesthetic agents is contraindicated in this person
1. Propofol
2. Ketamine
3. Midazolam
4. Etomidate

Correct answer: 2. Ketamine

Explanation: Refer Katzung 11/e p437 Ketamine increases all pressures in the body It is therefore intravenous anesthetic of choice for shock and should be avoided in hypertensive patients. Further it is contraindicated in glaucoma and Head and injuries